Earliest growth of diphtheria is detect on which media ?
1. Potassium tellurite media with iron
2. McConkey's agar
3. Dorset egg medium
4. Loeffler's serum slope

Correct answer: 4. Loeffler's serum slope

Explanation: Ans. is 'd' i.e., Loeffler's serum slope Diphtheria bacilli grow on Loeffler's serum slope very rapidly and colonies can be seen in 6-8 hours, long before other bacteria grow.